A man on return from a country complains of pain in abdomen, jaundice, with increased alkaline phosphatase and conjugated hyperbilirubinemia. USG shows blockage in the biliary tree. What could be the cause-
1. Fasciola buski
2. Clonorchis sinensis
3. Strongyloides
4. Ankylostoma

Correct answer: 2. Clonorchis sinensis